Somatic passivity is a feature of-
1. Depressive illness
2. Paranoid Schizophrenia
3. Hypochondriasis
4. Panic disorder

Correct answer: 2. Paranoid Schizophrenia

Explanation: Somatic passivity is one of the first rank symptoms of schizophrenia described by Schneider. Here the patient believes and attributes his bodily function to be under the influence of external force/agency.